Xanthogranulomatous pyelonephritis is often associated with infection by
1. Proteus
2. E. coli
3. S. aureus
4. Klebsiella

Correct answer: 1. Proteus